The cells belonging to the following type of epithelium are provided with an extra reserve of the cell membrane -
1. Transitional
2. Stratified squamous
3. Stratified cuboidal
4. Stratified columnar

Correct answer: 1. Transitional

Explanation: Cells of transitional epithelium have an extra reserve of cell membrane in the form of plate-like areas of cytoplasm containing internalized membranes, which permits the stretching of the epithelium.